The most common cause of superficial thrombophlebitis is:
1. Intravenous catheters/infusion
2. DVT
3. Varicose veins
4. Trauma

Correct answer: 1. Intravenous catheters/infusion

Explanation: SUPERFICIAL THROMBOPHLEBITIS This is a superficial venous thrombosis, most commonly caused by infusions of IV fluids Causes of Superficial Thrombophlebitis Venepuncture and IV infusion (MC) Trauma (especially to varicose veins) Buerger's disease Malignancy (Pancreas)